Central Retinal artery occlusion is known to be associated with -
1. Panophthalmitis
2. Diabetic Retinopathy
3. CMV retinitis
4. Orbital mucormycosis

Correct answer: 4. Orbital mucormycosis

Explanation: RETINAL ARTERY OCCLUSION Etiology Occlusive disorders of retinal vessels are more common in patients suffering from hypertension and other cardiovascular diseases. Common causes of retinal artery occlusion are:  Atherosclerosis-related thrombosis at the level of lamina cribrosa is the most common cause (75%) of CRAO.  Emboli from the carotid artery and those of cardiac origin account for about 20% cases of CRAO.  Retinal arteritis with obliteration (associated with giant cell arteritis) and periarteritis (associated with polyarteritis nodosa, systemic lupus erythema-tosus, Wegner's granulomatosis and scleroderma) are other causes of CRAO.  Angiospasm is a rare cause of retinal artery occlusion. It is commonly associated with amaurosis.  Raised intraocular pressure may occasionally beassociated with obstruction of retinal arteries for example due to tight encirclage in retinal detachment surgery.  Thrombophilic disorders such as inherited defects of anticoagulants may occasionally be associated with CRAO in young individuals. Clinical features Clinically retinal artery occlusion may present as central retinal artery occlusion or branch artery occlusion. It is more common in males than females. It is usually unilateral but rarely may be bilateral (1 to 2% cases). 1. Central retinal artery occlusion (CRAO).It occurs due to obstruction at the level of lamina cribrosa. Symptoms. Patient complains of sudden painless loss of vision. Signs. Direct pupillary light reflex is absent. On ophthalmoscopic examination retinal arteries are markedly narrowed but retinal veins look almost normal. Retina becomes milky white due to oedema. Central part of the macular area shows cherry-red spot due to vascular choroid shining through the thin retina of this region. In eyes with a cilioretinal artery, part of the macular will remain normal . Blood column within the retinal veins is segmented (cattle-trucking). After a few weeks the oedema subsides,and atrophic changes occur which include grossly attenuated thread-like arteries and consecutive optic atrophy . Ref:comprehensive ophthalmology-AK Khurana -4/E pageno:255.